Progesterone of choice in emergency contraception is the following:
1. DMPA
2. Levonorgestrel
3. Norgestrel
4. Micronised progesterone

Correct answer: 2. Levonorgestrel

Explanation: Postcoital contraceptive methods prevent implantation or cause regression of the corpus luteum and are highly efficacious if used appropriately. Levonorgestrel is more effective and is associated with fewer side effects than the combination estrogen-progestin regimens. Other hormone-based emergency contraception: Estrogen-progestin Combinations Antiprogestins and selective progestin-receptor modulators Copper-containing intrauterine devices within 5 days after unprotected intercourse Ref: Hall J.E. (2012). Chapter 347. The Female Reproductive System, Infertility, and Contraception. In D.L. Longo, A.S. Fauci, D.L. Kasper, S.L. Hauser, J.L. Jameson, J. Loscalzo (Eds), Harrison's Principles of Internal Medicine, 18e.